The difficulty in adopting a stainless steel crown to a
primary mandibular first molar is.
1. Wide bucco lingual contact
2. Buccal cervical ridge showing constriction
3. Prominent oblique ridge
4. All of the above

Correct answer: 2. Buccal cervical ridge showing constriction